In a case of rampant caries the ideal procedure to
perform in the first visit is:
1. Diet control instructions
2. Topical fluoride application
3. Gross excavation and restoration of teeth
4. None of the above

Correct answer: 3. Gross excavation and restoration of teeth